Apocrine mode of secretion is classically seen in _______ glands?
1. Mammary
2. Sebaceous
3. Parotid
4. Meibomian gland

Correct answer: 1. Mammary

Explanation: Apocrine mode of secretion is seen in Mammary gland Modes of Secretion of exocrine glands can be classified as - Merocrine Apocrine Holocrine